Wrong abour continuous murmur
1. Seen with coarctation of aorta
2. Peaks at S2
3. Heard both in systole and diastole
4. Increase on squatting

Correct answer: 4. Increase on squatting

Explanation: Ans. is 'd' i.e., Increase on squatting A continuous murmur is defined as one that begins in systole and extends through S2 into part or all of diastole. It need not occupy the entire cardiac cycle. Continuous murmurs are not affected by dynamic auscultation maneuvers like squatting etc. They can oftern be difficult to distinguish from individual systolic and diastolic murmurs in patients with mixed valvular heart disease. The classic example of a continuous murmur is that associated with a patent ductus arteriosus, which usually is heard in the second or third interspace at a slight distance from the sternal border.